A 25-year-old woman is admitted to the emergency department after a car collision. Radiographic examination reveals a fracture at the spiral groove of the humerus. A cast is placed, and 3 days later the patient complains of severe pain over the length of her arm. During physical examination the arm appears swollen, pale, and cool. Radial pulse is absent, and any movement of the arm causes severe pain. Which of the following conditions will most likely characterize the findings of the physical examination?
1. Venous thrombosis
2. Thoracic outlet syndrome
3. Compartment syndrome
4. Raynaud's disease

Correct answer: 3. Compartment syndrome

Explanation: Compartment syndrome is characterized by increased pressure within a confined space by a fascial compartment, which impairs blood supply, resulting in paleness. Venous thrombosis would not cause pain but could cause death from a pulmonary embolism. Thoracic outlet syndrome affects nerves in the brachial plexus and the subclavian artery and blood vessels between the neck and the axilla, far above the cast. Raynaud's disease affects blood flow to the limbs when they are exposed to temperature changes or stress. The fracture at the radial groove probably resulted in a radial nerve injury but would not be responsible for these symptoms.